Nihilistic delusion is?
1. False feeling of remorse of guilt
2. False belief about severe medical illness
3. False belief that world is about to end
4. False belief that one is infested with small but visible organisms

Correct answer: 3. False belief that world is about to end

Explanation: Ans. is 'c' i.e. False belief that world is about to end Nihilistic delusions* False belief that oneself, others or the world is non-existent or about to end. There are pessimistic ideas that the patient's career is finished, he is about to die, world is doomed. These occur in severe depression.* If nihilistic delusions are accompanied by ideas concerning bodily function failure, e.g., putrefaction of intestines, etc., the syndrome is called COTARD's SYNDROME.Other options* False feeling of remorse of guilt - Delusion of self accusation or guilt* False belief about severe medical illness - Hypochondriacal delusions* False belief that one is infested with small but visible organisms - Delusion of infestations (Ekbom syndrome)